Investigation of choice of diptheria carrier is :
1. Throat swab culture
2. Gram’s stain
3. Albert’s stain
4. Zeil Nelson’s stain

Correct answer: 1. Throat swab culture

Explanation: • Carriers can be detected only by the cultural method. 
•The swab should be taken from both the nose and throat